Which of the following is the most common functioning pancreatic islet cell tumour ?
1. Gastrinoma
2. Glucagonoma
3. Insulinoma
4. Vipoma

Correct answer: 3. Insulinoma